A patient of multiple myeloma presents with bony lesions. What is the best marker for prognosis of the disease -
1. Bone marrow plasma cell
2. Serum calcium level
3. Beta 2 microglobulin
4. Beta microglobulin

Correct answer: 3. Beta 2 microglobulin